Approach to Caldwell Luc operation is ?
1. Hard palate
2. Sublabial sulcus
3. Inferior metus
4. Superior meatus

Correct answer: 2. Sublabial sulcus

Explanation: Ans. is'b'i.e., Sublabial sulcus[Rel Dhingra Sh/ep. 422)Caldwell-Luc operation is a process of opening the maxillary antrum through canine fossa by sublabial approach and dealing with the pathology inside the antrum.